In avulsion which of the following increases success rate
1. Doxycyclin
2. Ledermycin
3. Dexamethasone
4. Ampicillin

Correct answer: 1. Doxycyclin